Cleft lip surgery is earliest done at
1. 3 months
2. 6 months
3. 9 months
4. 12 months

Correct answer: 1. 3 months

Explanation: Ref: Sabiston 20th edition Pgno : 1947 "Rule of 10s" by surgeon Wilhelmmensen and Musgrave Surgery is done in cleft lip in a child when Age >= 10 weeks Weight >= 10 pounds Hemoglobin >= 10 gm Management of cleft lip and cleft palate Surgical techniques are aimed at restoring normal anatomy Cleft lip Repaired between 3 and 6 months of age Cleft palate Repaired between 6 and 18 months